Collecting tubules of kidney develop from
1. Ureteric bud
2. Mesonephric duct
3. Paramesonephric duct
4. Wolffian duct

Correct answer: 1. Ureteric bud

Explanation: Collecting ducts of the permanent kidney develop from the ureteric bud, an outgrowth of the mesonephric duct close to its entrance to the cloaca. The bud penetrates the metanephric tissue, which is molded over its distal end as a cap. Subsequently, the bud dilates, forming the primitive renal pelvis, and splits into cranial and caudal portions, the future major calyces.Ref: Guyton; 13th edition; Chapter 65; Secretory Functions of the Alimentary Tract